Osteomeatal complex refers to
1. Maxillary ostium, ethmoid infundibulum, hiatus semilunaris and frontal recess
2. Frontal recess, inferior meatus, sphenoid sinus
3. Hiatus semiluna ris maxillary ostium, sphenoeth moid recess
4. None of the given options

Correct answer: 1. Maxillary ostium, ethmoid infundibulum, hiatus semilunaris and frontal recess

Explanation: The osteomeatal complex (or unit), sometimes less correctly spelled as osteomeatal complex, is a common channel that links the frontal sinus, anterior and middle ethmoid sinuses and the maxillary sinus to the middle meatus that allows air flow and mucociliary drainage. ref - researchgate.net